Best treatment option for Molluscum contagiosum is ?
1. Phototherapy
2. Immunosuppressives
3. Antiviral drugs
4. Electrocautery

Correct answer: 4. Electrocautery

Explanation: Ans is 'd' i.e. Electrocautery [Ref: Venleatram Lnle p. 275; Neena Khanna 3d/e p. 236)Curettage, electrocautery and cryotherapy are simple and effective methods.Imiquimod a recently introduced immunostimulant is helpful in patients with multiple lesions and in small children.